Kallu, a 60 years old male diagnosed to have carcinoma stomach. CT scan of abdomen showed a mass measuring 4 × 4 cm in the antrum with involvement of celiac nodes and right gastric nodes Management of choice is -
1. Total gastrectomy
2. Subtotal gastrectomy
3. Palliative
4. Chemotherapy

Correct answer: 2. Subtotal gastrectomy